Shape of birbeck granules is -
1. Tennis racket
2. Hockey stick
3. Bat
4. Ball

Correct answer: 1. Tennis racket

Explanation: Ans. is 'a' i.e., Tennis racket o Under the electron microscope, Birbeck granules have a pentalaminar, rodlike, tubular appearance and some- times a dilated terminal end resembling tennis-racket appearance.